Mode of inheritance of incontinentia pigmenti is:
1. Autosomal dominant
2. Autosomal recessive
3. X linked dominant
4. X linked recessive

Correct answer: 3. X linked dominant

Explanation: Incontinentia pigmenti - X-linked dominant Developmental defects of eye, teeth, CNS with cutaneous lesions. Four clinical stages - Inflammatory macules, papules, vesicle. Hyperkeratotic & verrucous lessions Grey-brown pigmentation Atrophic, hypopigmented & depimented - Initially hyperpigmented lesions ; as it progresses towards 4th stage , it becomes hypopigmented - Lesions follow the lines of blaschko. X linked dominant diseases-Vit- D resistant rickets (X linked hypophosphataemia)-Rett syndrome-Incontinentia pigmenti-Alpo syndrome-Fragile X syndrome-Goltz syndrome-X linked protoporphyria